Which of the following is not a part of Duke's Criteria for infective endocarditis?
1. Splenomegaly
2. Fever > 100.40F
3. IV drug user
4. Blood culture positive

Correct answer: 1. Splenomegaly

Explanation: Splenomegaly, Hemiplegia(Brain abscess) and clubbing(in SABE) are complications of infective endocarditis and are not diagnostic criteria. Splenomegaly: occurs due to development of splenic abscess secondary to embolization of infected vegetations from valvular surface. Choice B and C are minor diagnostic criteria for infective endocarditis. Choice D is a major diagnostic criteria and helps in determining best antibiotic for the condition as well. Duke Criteria for infective endocarditis: Major criteria: 1) Echocardiograpghy: Vegetations +nt 2) Blood culture +ve: 2/3 +ve for same organisms. For Coxiella burnetti 1/3 +ve. 3) New onset murmur in pre-existing heart disease. Minor criteria: 1) Fever >38oC 2) IV drug abusers and other predisposing conditions 3) Vascular phenomenon like arterial emboli, mycotic aneurysm, SAH, ICH, Janeway lesions 4) Immunological: Roth spots, Osler nodes and P.S.G.N